Bleeding from externaJ auditory meatus in a case of head injury is suggestive of
1. Anterior cranial fossa fracture
2. Middle cranial fossa fracture
3. Fracture of occipital bone
4. Posterior cranial fossa fracture

Correct answer: 2. Middle cranial fossa fracture

Explanation: (B) Middle cranial fossa fracture > 'Panda' sign': Bilateral periorbital haematoma in a patient with a fracture of the anterior cranial fossa.# Base of skull fractures :-> Anterior cranial fossa fracture (involves frontal or ethmoid sinuses) Sub conjunctival hematomas (extending to posterior limits of sclera) Anosmia, epistaxis, Nasal tip paraesthesia, CSF rhinorhoea, caroticocavernous fistula, causes rupture of anterior inferior cerebral artery> Middle cranial fossa fracture (involves petrous temporal bone) - CSF otorrhoea or rhinorrhoea through Eustachian tube, hemotympanum, ossicular disruption, Battle sign, VII and VIII cranial nerve palsies. Battle sign- Bruising behind ear after 36 hours of head injury involving petrous temporal bone